Adolescent age group in Factory act 1948 is:
1. 10-19 years
2. 10-14 years
3. 15-18 years
4. 18-21 years

Correct answer: 3. 15-18 years

Explanation: Factory act 1948: Factory : >= 10 persons working together with power / >= 20 persons working together without power. Not applicable on defence, mines, railways and eateries/ food joints. As per the factory Act, 1948: Child is b/w 0-14yrs of age. B/w 15-18 years old are adolescents.